Delayed Centripetal Contrast Enhancement pattern is seen with ?
1. Hemangioma
2. HCC
3. Metastasis
4. Hepatic Cysts

Correct answer: 1. Hemangioma

Explanation: *Hemangiomas have initial peripheral nodular puddling of contrast with a delayed homogenous central enhancement pattern. *HCC has an early arterial enhancement and Rapid Washout pattern (HCC supplied mainly by hepatic artery).